Secondary attack rate of pertussis in unimmunization household contacts of pertussis
1. 30%
2. 40%
3. 60%
4. 90%

Correct answer: 4. 90%

Explanation: Ans. is 'd' i.e., 90% SAR of some important infectious diseases Measles Rubella Chicken pox Pertussis Mumps 80% 90 - 95% -- 90% -- 90% 86%